The lymphocytic and histiocytic variant of Reed Sternberg cell is seen in
1. Follicular center lymphoma
2. Lymphocyte depleted Hodgkins lymphoma
3. Nodular sclerosis Hodgkins lymphoma
4. Lymphocyte predominant Hodgkins diseases

Correct answer: 4. Lymphocyte predominant Hodgkins diseases

Explanation: Lymphocyte Predominance Type: This uncommon "nonclassical" variant of HL accounts for about 5% of cases. Involved nodes are effaced by a nodular infiltrate of small lymphocytes admixed with variable numbers of macrophages. "Classical" Reed-Sternberg cells are usually difficult to find. Instead, this tumor contains so-called L&H (lymphocytic and histiocytic) variants, which have a multilobed nucleus resembling a popcorn kernel ("popcorn cell"). Eosinophils and plasma cells are usually scant or absent. L&H variants express B-cell markers typical of germinal-center B cells, such as CD20 and BCL6, and are usually negative for CD15 and CD30. Reference: Robbins and Cotran Pathologic Basis of Disease; 9th edition; Chapter 13; Diseases of White Blood Cells, Lymph Nodes, Spleen, and Thymus